In which of the following conditions would the Cortisol level be highest?
1. Addisons disease
2. Normal person after giving dexamethasone
3. Normal person after weakening in morning
4. Late evening

Correct answer: 3. Normal person after weakening in morning

Explanation: The secretory rates of CRF, ACTH, and cortisol are high in the early morning but low in the late evening. Addison's diseaseresults from an inability of the adrenal cortices to produce sufficient adrenocortical hormones. Persons with Addison's disease havediminished secretion of both glucocorticoids (cortisol) and mineralocorticoids (aldosterone). Cushing's syndrome- associated with elevated levels of cortisol.